Hirschsprung disease, marker - used for early diagnosis -
1. Acetyl cholinesterase
2. Adrenaline
3. VIP
4. None of above

Correct answer: 1. Acetyl cholinesterase

Explanation: Ans. is 'a' i.e., Acetyl cholinesterase Hirschsprung disease (congenital megacoion)o Abnormal innervation of bowel.o Most common cause lowrer intestinal obstruction in neonate.o Absense of ganglion cells in bowel wall.o Absence of meissner and auerbach plexus and hypertrophied nerve bundle with high level of acetyl cholinesterase between muscle layer and submucosa,o Rectum and sigmoid colon involve in 80% of case.o Technique demonstrating ACHE staining in aganglionic instestine are also of interest in diagnosis.